Insulin is secreted by the fetal pancreas by:
1. 12th Week
2. 28th Week
3. 32nd Week
4. 38th Weeks

Correct answer: 1. 12th Week